Memory T cells can be identified by using the following marker?
1. CD45 RA
2. CD45 RB
3. CD45 RC
4. CD45 RO

Correct answer: 4. CD45 RO

Explanation: Stem memory TSCM cells, like naive cells, are CD45RO-, CCR7+, CD45RA+, CD62L+ (L-selectin), CD27+, CD28+ and IL-7Ra+, but they also express large amounts of CD95, IL-2Rb, CXCR3, and LFA-1, and show numerous functional attributes distinctive of memory cells Reff: www.mayoclinic.com